CARE is associated with -
1. ICDS
2. CRY
3. Ford Foundation
4. RCH scheme

Correct answer: 1. ICDS

Explanation: Cooperative for Assistance and Relief Everywhere was founded in North america.Its world largest independent ,non-profit ,non secretarian international relief and devolopment organization.CARE provides emergency aid and long term devolopment assistance. CARE India focused its food support in the ICDS programme and in devolopment of programmes in areas of health and income supplementation.Parks textbook of preventive and social medicine.K Park. Edition 23.Pg no: 924